35 year old male presents with dyspnea and ascites over 3 days. O/E there is neck vein distension with no inspiratory decrease in JVP. CXR shows plaque like calcification over RV with dilated SVC and small atria. He is suffering from
1. Cardiac Tamponade
2. Restrictive Cardiomyopathy
3. Right Ventricular MI
4. Constrictive Pericarditis

Correct answer: 4. Constrictive Pericarditis

Explanation: * CXR Features: Linear Plaquelike Pericardial calcifications(50-70%) predominantly over RV and posterior LV * Dilatation of SVC(77%) and Azygos Vein * Small Atria * Normal Lung Vasculature * Differntiate Between RVMI, CP and RCM